True about status marmoratus is:
1. Present in basal ganglia
2. Associated with asphyxia
3. Have a marbled appearance
4. All of the above

Correct answer: 4. All of the above

Explanation: d. All of the above(Ref: Nelson's 20/e p 1126)Status MarmoratusIt is a congenital condition due to maldevelopment of corpus striatum, associated with choreoathetosis, in which the striate nuclei have a marble-like appearance caused by altered myelination in the putamen, caudate and thalamus.It results from acute total asphyxia in basal ganglia of full-term infants.